Which of the following is used for Rickettsia -
1. Weil-Felix reaction
2. Rose-waler test
3. Poul-Bunnel test
4. VDRL

Correct answer: 1. Weil-Felix reaction